Most common presentation of carcinoma of the right colon:
1. Anaemia
2. Mass
3. Obstruction
4. Diarrhoea

Correct answer: 1. Anaemia

Explanation: Ans: a (Anaemia) Ref: Bailey, 24th ed, p. 1178Carcinoma colon is usually asymptomatic and may present as anaemia in locally advanced cases.Macroscopic varieties:annular type : most common symptom is obstructivetubular : most common symptom is bleedingulcerative: most common symptom is bleedingcauliflower type: least malignantcarcinoma colon occurs more commonly on the left side and the rectum.Most common site-Rectosigmoid junction- 59%RectumSigmoid colonTNM staging Ca right colonCa left colonUsually presents lateUlcerate with chronic insidious blood loss- leading to anaemia anaemia> fatigue> mass RIFMore well formed stools than right -so obstructiveAlteration of bowel habits > palpable lump > abdominal distension with pain.Ca sigmoidPain usually colicky from onsetTenesmus Bladder symptoms- This is not uncommon and may sometimes lead to colovesical fistula- (Bailey, 24th ed, p. 1178)Risk factors for the development of colorectal cancerDiet: Animal fatHereditary syndromes (autosomal dominant inheritance)Polyposis coliNonpolyposis syndrome (Lynch syndrome)Inflammatory bowel diseaseUreterosigmoidostomyTobacco use